Normal commensal of skin is
1. Candida
2. Propionibacterium
3. Clostridia
4. TB

Correct answer: 2. Propionibacterium

Explanation: Its members are primarily facultative parasites and commensals of humans and other animals, living in and around the sweat glands, sebaceous glands, and other areas of the skin. One study found the Propionibacterium was the most prevalent human skin-associated genus of microorganisms Ref Harrison20th edition pg 1208